A newborn 46 xx has external genitalia of male. All the following are the possible causes except:
1. Placental aromatase deficiency
2. Maternal androgen adrenal tumor
3. Anti mullerian hormone deficiency
4. Wnt 4 mutation

Correct answer: 3. Anti mullerian hormone deficiency

Explanation: Anti mullerian hormone defeciency causes persistance of mullerian ducts and are stimulated to form uterine tubes,uterus,cervix and upper vagina LANGMAN'S MEDICAL EMBYOLOGY,12 TH EDITION, Pg no:247